Which of the following drug causes sedation but no extra pyramidal side effect:
1. Clozapine
2. Pimozide
3. Fluphenazine
4. Haloperidol

Correct answer: 1. Clozapine